All are basic types of operant conditioning described by Skinner, except:
1. Positive reinforcement.
2. Negative reinforcement.
3. Omission.
4. Extinction.

Correct answer: 4. Extinction.

Explanation: The four basic types of operant conditioning described by Skinner are;
a) Positive reinforcement
b) Negative reinforcement
c) Omission
d) Punishment